Corticosteroid which is given by inhalation route is:
1. Prednisolone
2. Beclomethasone
3. Dexamethasone
4. Hydrocortisone

Correct answer: 2. Beclomethasone

Explanation: Beclomethasone